Which of the following enzyme (s) participate in protein synthesis:
1. DNA ligase
2. DNA Helicase
3. Peptidase
4. Peptidyl transferase

Correct answer: 4. Peptidyl transferase

Explanation: Ans: d. Peptidyl transferase[Ref Harper 30th/422-24, 28th/359-66, 323; Lippincott 4th/438-42; Chatterjea & Shinde 7th/248-501Enzyme Required for TranslationAmino-acyl-t-RNA synthetase: Enzyme required for activation of amino acids, Peptide synthetase (peptidyl transferase)The NH2 of new aminoacyl t - RNA (ARTI) in 'A' site combine with the - COOH group of Met - t -RNA occupying the 'P' site. The reaction is catalyzed by peptidyl transferase". "Peptidases degrades proteins to amino acidsThe NH2 of new aminoacyl t - RNA (ARTI) in 'A' site combine with the - COOH group of Met - t -RNA occupying the 'P' site. The reaction is catalyzed by peptidyl transferase . `` peptidases degrades proteins to amino acids.ProteinfunctionDNA polymerasesDeoxynucleotide polymerizationHelicasesProcessive unwinding of DNATopoisomerases Relieve torsional strain that results from helicase-induced unwindingDNA primaseInitiates synthesis of RNA primersSingle-strand binding proteinsPrevent premature reannealing of dsDNADNA ligaseSeals the single strand nick between the nascent Okazaki chain and fragments on tagging strand